Which of the following is derived from ectoderm-
1. Epithelium of iris
2. Ciliary muscles
3. Vascular endothelium
4. Sclera

Correct answer: 1. Epithelium of iris